Granular deposits of IgA is seen in:
1. Bullous pemphigoid
2. Linear IgA bullous disorder
3. Dermatitis Herpetiformis
4. Hailey-Hailey disease

Correct answer: 3. Dermatitis Herpetiformis

Explanation: Bullous pemphigoid : Linear deposition of IgA and IgG at DEJ
Linear IgA bullous disorder : Linear deposition of IgA at DEJ
Dermatitis herpetiformis : Focal granular IgA deposits at papilary tips.
Hailey-Hailey disease : DIF : negative